Which of the following is not a tumor marker-
1. CEA
2. Tyrosinase
3. Human leucocyte antigen A2
4. AFP

Correct answer: 3. Human leucocyte antigen A2

Explanation: HLA-A is a group of human leukocyte antigens (HLA) that are coded for by the HLA-A locus, which is located at human chromosome 6p21.3.] HLA is a major histocompatibility complex (MHC) antigen specific to humans. HLA-A is one of three major types of human MHC class I cell surface receptors. The others are HLA-B and HLA-C. The receptor is a heterodimer, and is composed of a heavy a chain and smaller b chain. The a chain is encoded by a variant HLA-A gene, and the b chain (b2-microglobulin) is an invariant b2 microglobulin molecule.] The b2 microglobulin protein is coded for by a separate region of the human genomeAlpha fetoprotein (AFP) germ cell tumor, hepatocellular carcinoma but may also be elevated in for example endometrial cancer, fallopian tube cancer, lung cancer, breast cancer and gastrointestinal cancer. May also increase in endometriosis. Calcitonin medullary thyroid carcinoma Calretinin mesothelioma, sex cord-gonadal stromal tumour, adrenocortical carcinoma, synovial sarcoma Desmin smooth muscle sarcoma, skeletal muscle sarcoma, endometrial stromal sarcoma Epithelial membrane antigen (EMA) many types of carcinoma, meningioma, some types of sarcoma Factor VIII, CD31 FL1 vascular sarcoma Glial fibrillary acidic protein (GFAP) glioma (astrocytoma, ependymoma) Gross cystic disease fluid protein (GCDFP-15) breast cancer, ovarian cancer, salivary gland cancer HMB-45 melanoma, PEComa (for example angiomyolipoma), clear cell carcinoma, adrenocortical carcinoma Human chorionic gonadotropin (hCG) gestational trophoblastic disease, germ cell tumor, choriocarcinoma immunoglobulin lymphoma, leukemia inhibin sex cord-gonadal stromal tumour, adrenocortical carcinoma, hemangioblastoma keratin (various types) carcinoma, some types of sarcoma lymphocyte marker (various types lymphoma, leukemia MART-1 (Melan-A) melanoma, steroid-producing tumors (adrenocortical carcinoma, gonadal tumor) Myo D1 rhabdomyosarcoma, small, round, blue cell tumour placental alkaline phosphatase (PLAP) seminoma, dysgerminoma, embryonal carcinoma prostate-specific antigen (PSA) PTPRC (CD45) lymphoma, leukemia, histiocytic tumor Breast cancer, Lung cancer, Pancreatic cancer,] Esophageal Cancer] Stomach Cancer,[Cervical Cancer, Ovarian Cancer, vimentin sarcoma, renal cell carcinoma, endometrial cancer, lung carcinoma, lymphoma, leukemia